drug used in the management of treatment resistant schizophrenia is
1. clozapine
2. olanzapine
3. flupenthixol
4. haloperissol

Correct answer: 1. clozapine

Explanation: CLOZAPINE * Importance * First SGA * TREATMENT FOR TREATMENT RESISTANT SCHIZOPHRENIA * TOC for TD * Anti suicidal * Psychosis in parkinsonian patients Ref.kaplon and sadock, synopsis of psychiatry, 11 th dition, 935